Severe acute malnutrition, arm circumference is less than (in cm) -
1. 12.5
2. 13.5
3. 12
4. 11.5

Correct answer: 4. 11.5

Explanation: Ans-D i.e., 11.5 [Ref: Updates on the management of severe acute malnutrition in infants and children, WHO protocol p. 26 and Severe Acute Malnutrition - SAM - child. Immediate in-hospital medical attention is needed for a SAM child. Read what is SAM on net. Broadly - a child whose weight is very less compared to its age in months. and MUAC ( mid upper arm circumference) is very less <11.5 cm) o IN children who are 6-59 months of age, severe acute malnutrition is defined as:- Weight-for-height < -3 Z-score. or Mid-upper-arm circumference <115 mm, or Presence of bilateral edema